Which anesthetic is contraindicated in renal failure-
1. Isoflurane
2. Desflurane
3. Halothane
4. Methoxyflurane

Correct answer: 4. Methoxyflurane

Explanation: Ans. is 'd' i.e., Methoxyflurane Methoxyflurane o It was most potent inhalation agent (least MAC), but is not used (now Halothane is most potent), o It should not be used in a closed circuit (reacts with rubber tubing of the closed circuit). o It has slowest onset & recovery (however now ether has slowest onset & recovery as methoxyflurane is not used), o The boiling point is more than water (104degC). o Intrarenal metabolism of methoxyflurane and subsequent intrarenal production of fluoride ion is the significant cause of methoxyflurane renal toxicity, o It can cause high output renal failure and hepatotoxicity.